Thermally dimorphic fungus is all except:
1. Coccidioidomycosis
2. Blastomycosis
3. Candida
4. Histoplasmosis

Correct answer: 3. Candida

Explanation: Ans. C. CandidaDimorphic fungi:Have yeast form in host & in vitro at 37degon enriched media and hyphal (mycelial) form in vitro (25degC) e.g.1. Histoplasma capsulatum2. Coccioidesimmitis3. Paracoccidioides Brasiliensis4. Blastomyces dermatitidis5. Sporothrixschenckii6. Penicillium marneffi